At what age does the permanent maxillary lateral incisors erupt
1. 5 years
2. 7-9 years
3. 11 years
4. 13 years

Correct answer: 2. 7-9 years